Pediatirc airway differ from adult ?
1. Large tongue
2. Short epiglotitis
3. Narrowest part is glottis
4. Larynx in lower posittion

Correct answer: 1. Large tongue

Explanation: Ans. is 'a' i.e., Large tongue Airway : Pediatric Vs Adult Obligate nasal breather Large tongue Larynx & trachea are funnel shaped Larynx located higher (C4) Vs C6 in adult. Narrowest part is cricoid (glottis in adults)